In normal distribution curve, which have same value-
1. SD and mean
2. SD and Mode
3. Mode and Mean
4. SD and Median

Correct answer: 3. Mode and Mean

Explanation: Ref: Parks 23rd edition pg 849. The standard normal curve is a smooth, bell-shaped curve, perfectly symmetrical curve based on an infinitely large number of observations. Total area of the curve is 1. Mean=0 Standard deviation is 1 . The mean, median and mode all coincide.